Which of the following is a derivative of the second pharyngeal pouch
1. Tympanic cavity
2. Meckel's cartilage
3. Palatine tonsil
4. Tongue base

Correct answer: 3. Palatine tonsil